First sign of pubertal development in female is ?
1. Breast enlargement
2. Onset of mesturation
3. Enlargement of pubic hair
4. Maximum growth velocity

Correct answer: 1. Breast enlargement

Explanation: Ans. is 'a' i.e., Breast enlargement